A 24-year-old woman is pregnant at 14 weeks with her first baby. She feels well and the pregnancy is uncomplicated. Routine screening is positive for chronic viral hepatitis for which perinatal transmission is of major epidemiologic significance.For the above patient with viral hepatitis, select the most likely viral agents.
1. hepatitis A virus
2. hepatitis B virus
3. hepatitis C virus
4. hepatitis D virus

Correct answer: 2. hepatitis B virus

Explanation: In neonates, the transmission of hepatitis B results in a 90% probability of developing chronic infection. The ongoing infection (often resulting in hepatoma) is a major cause of morbidity and mortality in many parts of the world.